Which of the following movement of thumb is lost in ulnar nerve injury ?
1. Opposition
2. Extension
3. Adduction
4. Abduction

Correct answer: 3. Adduction

Explanation: Ans. is 'c' i.e., Adduction There is loss of adduction of thumb, as adductor pollicis is supplied by the ulnar nerve. Movements Muscles causing movements Flexion Flexor pollicis brevis (median and ulnar N)(accompanied by medial rotation) Opponens pollicis (median N) assisted by flexor pollicis longus (median N) Extension Extensor pollicis longus (radial N) (accompanied by lateral rotation) Extensor pollicis brevis (radial N) Abductor pollicis longus (radial N) Abduction Abductor pollicis brevis (median N) Abductor pollicis longus (radial N) !Adduction Adductor pollicis (ulnar N) Opposition Opponens pollicis (median N)